Which of the following hepatitis viruses have significant perinatal transmission?
1. Hepatitis A virus
2. Hepatitis B virus
3. Hepatitis C virus
4. Hepatitis E virus

Correct answer: 2. Hepatitis B virus

Explanation: The hepatitis virus with significant perinatal transmission is Hepatitis - B virus. Hepatitis - C virus may also be transmitted if there are high levels of viremia. Hepatitis B is a DNA virus, it is acquired perinatally from a carrier mother, or later in life from exposure to contaminated blood through shared needles, needle sticks, skin piercing, tattoos or sexual transmission. Infants are infected with hepatitis B at the time of birth. Intrauterine transmission of this virus occur rarely. Ref: Harrisons Internal Medicine, 18th Edition, Chapter 304 ; CURRENT Diagnosis and Treatment: Pediatrics, 20th Edition, Chapter 1